Mental retardation is defined as IQ less than-
1. 85
2. 80
3. 75
4. 70

Correct answer: 4. 70

Explanation: Ans i.e., 'd' i.e., 70 Classification of mental retardationo A child with IQ < 70 is called as mentally retarded.Degree of MRIQMild51-70Moderate36-50Severe21-35Profound0-20o IQ level between 71-90 is designated as borderline intelligence.